Glycolytic enzyme(s) inhibited by fluoride
1. Hexokinase
2. Aldolase
3. Enolase
4. Pyruvate kinase

Correct answer: 3. Enolase

Explanation: Question repeated